Which of the following is the reason for the development of a simple lentigo?
1. Increased melanin
2. Increased melanocytes
3. Increased melanosomes
4. All of the above

Correct answer: 2. Increased melanocytes

Explanation: Ans. B. Increased melanocytesSimple lentigo occurs due to an increase in melanocytes at dermal-epidermal junction.* Simple Lentigo also known as Lentigo simplex is a light- to dark-brown or black macule that does not fade away once it appears.* They usually appear during childhood and increase in number until the age of 40.* It is more common in individuals with red hair and fair skin.Lentigo simplex: Hyperpigmentation is evident in the basal and squamous epidermal cells. There is a slight increase in non-atypical melanocytes between the epidermal basal cells. Magnification 40x(H&E).